Retienloeyte level in newborn's ?
1. 0.2–1.5%
2. 1–1.6%
3. 2.5–6%
4. 6–10.2%

Correct answer: 3. 2.5–6%

Explanation: Reticulocyte count is the percentage of reticulocytes in total red blood cells.